Arthropods are vector for all Except
1. Scrub typhus
2. Epidemic typhus
3. RMSF
4. Q-fever

Correct answer: 4. Q-fever